Liver biopsy is done through 8th ICS mid axillary line to avoid:
1. Lung
2. Pleural cavity
3. Subdiaphragmatic space
4. Gallbladder

Correct answer: 1. Lung

Explanation: Ans. (a) LungRef: Shackelford 7/e p l491-1492* Minimum number of tracts needed in liver biopsy are 11 full tracts* Liver biopsy done via right 8th Mid axillary line to avoid lung injury* Wedge biopsy of liver is not sensitive to diagnose Cirrhosis. Trucut biopsy of liver is best to diagnose cirrhosis